Splenectomy can be curative in all of the following except:
1. Spleen vein thrombosis
2. Sickle cell disease
3. Hereditary spherocytosis
4. ITP

Correct answer: 2. Sickle cell disease

Explanation: MC indication for splenectomy: TraumaQ MC indication for elective splenectomy : ITPQ Indications for Splenectomy Splenectomy always indicated: Primary splenic tumorQ Hereditary spherocytosisQ Splenectomy rarely indicated: Chronic leukemia Splenic lymphoma Splenectomy usually indicated: Primary hypersplenismQ Chronic ITPQ Splenic vein thrombosis causing gastric varicesQ Splenic abscessQ Macroglobulinemia Thalassemia major Sickle cell disease Congestive Splenomegaly and hypersplenism due to PHT Felty's syndrome Hairy cell leukemia Chediak-Higashi syndrome Sarcoidosis